Plateau phase of cardiac muscle is due to
1. East Na + channel opening
2. Opeaning of Ca++Na+ channels
3. Opeaning of Slow Ca++ channels
4. Opeaning of K + channels

Correct answer: 3. Opeaning of Slow Ca++ channels

Explanation: Ca2+ influx through more slowly opening Ca2+ channels produces the plateau phase The initial depolarization is due to Na+ influx through rapidly opening Na+ channels Repolarization is due to net K+ efflux through multiple types of K+ channels Ref: Ganong's Review of Medical Physiology Twenty-Third Edition Page No:491